Which disease doesn't require chemoprophylaxis?
1. Measles
2. Conjunctivitis
3. Cholera
4. Malaria

Correct answer: 1. Measles

Explanation: Measles prevention is only by immunisation and vaccination. No chemoprophylaxis(Ref.PARK'S TEXTBOOK OF PREVENTIVE AND SOCIAL MEDICINE 21st Edition page no.136)